Which of these is an immune privileged site
1. Area postrema
2. Loop of henle
3. Optic nerve
4. Seminiferous tubules

Correct answer: 4. Seminiferous tubules

Explanation: Ref Robbins 9/e p214 The testis,eye and brain ,all of which are immune privileged sites because it is difficult to induce immune response to antigen introduced into these sites. If the antigen of these tissues are released for example as a consequence of trauma or infection .the result may be an immune response that leads to prolonged tissue inflammation and injury .this is postulated mechanism for postraumatic orchitis and uveitis